All of the following sensations are carried by dorsal columns except
1. Vibration
2. Position
3. Discriminative touch
4. Temperature

Correct answer: 4. Temperature

Explanation: (D) Temperature # Dorsal column transmits: Touch (Fine), Pressure, Vibration, Proprioception Lateral spinothalamic tract transmits Pain, Temperature Anterior spinothalamic tract transmits Crude touch, Pressures